Radiation exposure occurs in all of the following except:
1. CT scan
2. MRI scan
3. Fluoroscopy
4. X-ray

Correct answer: 2. MRI scan

Explanation: Ans. B: MRI Scan MRI is a noninvasive imaging technique that does not involve exposure to ionizing radiation. MR images of the soft-tissue structures of the body -- such as the heart, liver and many other organs -- is more likely in some instances to identify and accurately characterize diseases than other imaging methods. This detail makes MRI an invaluable tool in early diagnosis and evaluation of many focal lesions and tumors. MRI has proven valuable in diagnosing a broad range of conditions, including cancer, heart and vascular disease, and muscular and bone abnormalities. MRI enables the discovery of abnormalities that might be obscured by bone with other imaging methods. MRI allows physicians to assess the biliary system noninvasively and without contrast injection. The contrast material used in MRI exams is less likely to produce an allergic reaction than the iodine-based contrast materials used for conventional x-rays and CT scanning. MRI provides a noninvasive alternative to x-ray, angiography and CT for diagnosing problems of the heart and blood vessels.